Vasodilation in spider naevi is due to -
1. Hepatotoxin
2. Estrogen
3. Testosterone
4. DHEA

Correct answer: 2. Estrogen

Explanation: Ans. is 'b' i.e., Estrogen